Principal of using Robertson cooked meat broth:
1. Meat kills other bacteria
2. Meat is utilized by anaerobes
3. Content of meat extract utilize 02
4. All of the above

Correct answer: 3. Content of meat extract utilize 02

Explanation: Ans. is. 'c' i. e., Content of meat extract utilize 02